All of the following are a part of the innate immunity except -
1. Complement
2. NK cells
3. Macrophages
4. T cells

Correct answer: 4. T cells

Explanation: Ans. is 'd' i.e., T cells